What would tend to decrease GFR by more than 10% in a normal kidney?
1. Decrease in renal arterial pressure from 100 to 85 mm Hg
2. 50% decrease in afferent arteriolar resistance
3. 50% decrease in efferent arteriolar resistance
4. 50% increase in the glomerular capillary filtration coefficient

Correct answer: 3. 50% decrease in efferent arteriolar resistance

Explanation: 50% reduction in efferent arteriolar resistance would cause a large decrease in GFR--greater than 10%. A decrease in renal artery pressure from 100 to 85 mm Hg would cause only a slight decrease in GFR in a normal, autoregulating kidney. A decrease in afferent arteriole resistance, a decrease in plasma colloid osmotic pressure, or an increase in the glomerular capillary filtration coefficient would all tend to increase GF